Daily water requirement in child weighing 30 kgs, height 123 m and BSA of 1 m2 is
1. 1300 ml
2. 1700 ml
3. 2000 ml
4. 2500 ml

Correct answer: 2. 1700 ml

Explanation: For calculating the minimum amount of fluid per day, a formula based on body weight is recommended: 1500 ml is the minimum water intake with 15ml fluid per kg to be added for the actual weight minus 20kg. Reference: GHAI Essential pediatrics, 8th edition